45yr old female with sudden onset headache and neck rigidity There is no history of trauma ..
1. SAH
2. Meningitis
3. SDH
4. Hemorrhagic stroke

Correct answer: 1. SAH

Explanation: ref : david sutton 9th ed